Endotracheal tube size in a full term infant?
1. 2.5 mm
2. 3.5 mm
3. 4.5 mm
4. 5.5 mm

Correct answer: 2. 3.5 mm

Explanation: Age Internal Diameter (mm) Cut length (cm) Full- term infant 3.5 12 Child 4+Age/4 12+Age/2 Adult Female 7.0-7.5 24 Male 7.5-9.0 24